Which of the following is the next most common cause of blood transfusion-related hepatitis after hepatitis B?
1. hepatitis A
2. Epstein-Barr hepatitis
3. hepatitis C
4. hepatitis D

Correct answer: 3. hepatitis C

Explanation: Screening for antibodies to hepatitis C has reduced the incidence of this infection, but numerous chronic cases remain. Treatment options include interferon and ribavirin. The hepatitis C virus is a linear, single-stranded ribonucleic acid (RNA) virus. There are at least six distinct genotypes.